Gastric infection with H.pylori account for all these adverse events , EXCEPT:
1. Peptic ulcer disease
2. Gastric MALT lymphoma
3. GERD
4. Gastric adenocarcinoma

Correct answer: 3. GERD

Explanation: Gastric infection with the bacterium H. pylori accounts for Majority of PUD ( Gastric as well as Duodenum) Gastric mucosa-associated lymphoid tissue (MALT) lymphoma Gastric adenocarcinoma. Its association with GERD is not been described. Ref: Harrison-E-18,P-2441